Which of the following is not a constituent of Glycosphingolipid
1. Sphingosine
2. Fatty acid
3. Glycerol
4. Carbohydrate

Correct answer: 3. Glycerol

Explanation: Glycosphingo lipid are made up of 
Sphingosine + Fatty acid + Carbohydrate group.
eg:- Cerebrosides, Gangliosides, Glubosides.